A patient with hip dislocation with limitation of Abduction at hip and flexion and internal rotation deformity at hip and shortening. Diagnosis is:
1. Central dislocation
2. Anterior dislocation
3. Posterior dislocation
4. Fracture dislocation

Correct answer: 3. Posterior dislocation

Explanation: (c) Posterior dislocationExplanationSince the question mentions limitation of abduction, hence there is adduction deformity along with flexion and internal rotation deformity. Thus this is a case of Posterior dislocation of hip.Position of hipPattern of InjuryFlexion, adduction, internal rotationPure posterior dislocationLess flexion, less adduction (neutral or slight abduction), internal rotationPosterior fracture dislocation > central dislocationHyper abduction + Flexion + External rotationAnterior dislocationSome students remember an alternate format of the question 6b